Thromboangitis obliterans involves which vessels -
1. Ant and Post tibial
2. Femoral
3. Aortoiliac
4. Popliteal

Correct answer: 1. Ant and Post tibial

Explanation: Thromboangiitis obliterans, also known as Buerger diseaserecurring progressive inflammation and thrombosis (clotting) of small and medium arteries and veins of the hands and feet. It is strongly associated with use of tobacco products,primarily from smoking, but is also associated with smokeless tobacco. There are characteristic pathologic findings of acute inflammation and thrombosis (clotting) of arteries and veins of the hands and feet (the lower limbs being more common). The mechanisms underlying Buerger's disease are still largely unknown, but smoking and tobacco consumption are major factors associated with it. It has been suggested that the tobacco may trigger an immune response in susceptible persons or it may unmask a clotting defect, either of which could incite an inflammatory reaction of the vessel wall.This eventually leads to vasculitis and ischemic changes in distal parts of limbs.mainly anterior and posterior tibial vessels A possible role for Rickettsia in this disease has been proposed Ref Davidson 23rd edition pg 455